Hysteria is characterized by
1. Flight of ideas
2. Pressure on speech
3. Indifferene to suffering
4. Autistic Thinking

Correct answer: 3. Indifferene to suffering

Explanation: C i.e. Indifference to suffering- Flight of ideas & Pressure speech are features of Mania. Autism is found in Schizophrenia (Bleuler's 4-A)- La -Belle-Indifference : It is lack of concern towards the symptoms despite severe disability. It is found in Hysteria (Conversion Disorder)Q, Partial lobe lesion, Multiple Sclerosis, Dissociative DisorderQ, Physical illness.